Drug induced SLE seen in
1. Hydralazine
2. Procainamide
3. Isoniazid
4. All of the above

Correct answer: 4. All of the above

Explanation: (D) All of the above SOME DRUG-INDUCED REACTIONSDiseaseDrugsSLE-like syndrome including pulmonary infiltrates, effusions and fibrosis* Hydralazine* Procainamide Isoniazid* Phenytoin* ACE inhibitors* Monoclonal antibodies